Skinfold thickness test is used for
1. Fat
2. Carbohydrate
3. Protein
4. Skin allergy test

Correct answer: 1. Fat